The bacterial enzyme detected in gingival crevicular fluid is
1. Fibronectin
2. Cytokines
3. Phospholipase
4. Myeloperoxidase

Correct answer: 3. Phospholipase